The contraceptive protective against PID and STDs is which one of the following:
1. Condoms
2. CuT
3. Mala D
4. All of the above

Correct answer: 1. Condoms

Explanation: Barrier methods especially male condoms and Female condoms give protection against STDs (including HIV), PID and pregnancy. IUDs increase chances of PID. Combined OCP decrease chances of PID.